"Henderson Patterson" bodies are seen in:
1. Small pox
2. Fowl pox
3. Molluscum
4. Rabies

Correct answer: 3. Molluscum

Explanation: Molluscum